The test involving an intradermal injection of sterilised fluid from an infectious cyst is called?
1. Casoni's test
2. Schick test
3. Patch test
4. Dick's test

Correct answer: 1. Casoni's test

Explanation: The Casoni test is a skin test used in the diagnosis of hydatid disease. The test involves the intradermal injection of 0.5ml of sterilised fluid from hydatid cysts. A wheal response occurring at the injection site within 20 minutes is considered positive. Schick test is a test used to determine whether or not a person is susceptible to diphtheria. A patch test is a method used to determine if a specific substance causes allergic inflammation of the skin. The Dick test is a laboratory test designed to indicate whether or not a person is immune to scarlet fever.